Urate crystals are deposited in small joints of the hands & feets in:
1. Gout
2. Still's disease
3. Retropharyngeal abscess
4. Ankylosing spondylitis

Correct answer: 1. Gout

Explanation: Ans. A i.e. Gout